Classical sign of scaphoid fracture is?
1. Pain with limited range of motion
2. Pain in snuffbox
3. Scaphoid ring sign
4. Swelling of wrist

Correct answer: 2. Pain in snuffbox

Explanation: Ans. (b) Pain in snuffboxRef.'.Primary Care Musculoskeletal Radiology by George M. Bridgeforth, John Frank Cherf p-193, Rockwood and Green's Fractures in Adults by Robert W. Bucholz p 791